Pasteurization is ____________ disinfection
1. Precurrent
2. Concurrent
3. Preconcurrent
4. Terminal

Correct answer: 1. Precurrent

Explanation: Disinfection of milk by pasteurization, water by chlorine and handwashing may be cited as examples of precurrent infection. Ref: 25th edition, Park's Textbook of Preventive and Social Medicine, Page no. 140